Which of the following cardiovascular conditions can result in a medical emergency in the dental office causing
substernal pain, facial pallor, and cold perspiration:
1. Angina pectoris
2. Congestive heart failure
3. Hypertension
4. Patent ductus arteriosus

Correct answer: 1. Angina pectoris